Oliguria causing drug is-
1. Acyclovir
2. Diazepam
3. Aspirin
4. Montelukast

Correct answer: 1. Acyclovir

Explanation: Ans. is 'a' i.e., Acyclovir Drugs Causing Oliguriao Drugs causing decreased renal perfusion - diuretics.o Drugs causing nephrotoxicity - aminoglycosides and chemotherapeutic agents,o Urine retention - adrenergic and anticholinergic drugs.o Urinary obstruction associated with precipitation of urinary crystals - sulfonamides and acyclovir.